Which of the following is not a function of nose?
1. Olfaction
2. Air pressure control
3. Humidification of air
4. Temperature control of inspired air

Correct answer: 2. Air pressure control

Explanation: ANSWER: (B) Air pressure controlREF: Dhingra 4th ed page 133Functions of the nose are classified as:1. Respiration2. Air conditioning of inspired aira. Filtration and purificationb. Temperature control of the inspired airc. HumidificationProtection of lower airwayMucociliary mechanismSecretion of Enzymes and immunoglobulinsSneezingVocal resonanceNasal reflex functions: Smell of a palatable food cause reflex secretion of saliva and gastric juice. Irritation of nasal mucosa causes sneezing .Olfaction